Her-2 neu receptor is used in breast carcinoma for
1. Screening of the breast carcinoma
2. Diagnosis of cancer
3. Predicting response to treatment
4. Detect recurrence

Correct answer: 3. Predicting response to treatment